All are the effects of thumb sucking except:
1. SNA angle increases.
2. ANB angle increases.
3. SN to ANS- PNS angle is increased.
4. Anterior open bite.

Correct answer: 3. SN to ANS- PNS angle is increased.

Explanation: There is no change in SN to ANS-PNS angle in thumb sucking,
Effects of thumb sucking:

Proclination of maxillary anteriors. SNA angle is increased.
If there is lingual tipping of mandibular incisors, ANB angle is increased
Anterior open bite
Narrow and long maxillary arch
Hypotonic upper lip